All of the following screening test are recommended by CDC in pregnant female except
1. ELISA for HIV
2. HBs Ag
3. NAAT for chlamydia and gonorrhea
4. Saline microscopy for bacterial vaginosis

Correct answer: 4. Saline microscopy for bacterial vaginosis

Explanation: Ans. is d, i.e. Saline microscopy for bacterial vaginosisTests recommended by CDC-to be done at 1st antenatal visit for STD.* ELISA for HIV* HBs Ag for hepatitis B* VDRL test for syphilis* NAAT for chlamydia and gonorrhea (in pregnant females <25 years and older women).* HCV antibodies testing for hepatitis C virus (most important basic factor being past or current drug use)* Pap test.No routine screening done for:* Bacterial vaginosis (even in those females who are at high risk for preterm labor)* Trichomonas vaginalis* HSV-2.